Ca 125 is used in diagnosis of -
1. Ovarian cancer
2. Gall bladder cancer
3. Carcinoids
4. Bronchogenic cancer

Correct answer: 1. Ovarian cancer